Amalgam achieves 70% of the strength by:
1. 2 hours
2. 4 hours
3. 8 hours
4. 16 hours

Correct answer: 3. 8 hours